Kary oty pe of klienfelter syndrome is-
1. 47XXY
2. 45XO
3. 46XXY
4. 45XXX

Correct answer: 1. 47XXY

Explanation: Ans. is 'a' i.e., 47XXY Klinefelter syndromeo Klinefelter syndrome is the most common chromosomal disorder associated with male hypogonadism and infertility.o It is defined classically by a 47, XXY karyotype with variants demonstrating additional X and Y chromosomes. (Other variants can have 48 XXX Y. rarely 49 XXXXY or mosaics can be there with some cells containing normal 46, XY and others 47, XXY).o Classically, it results from meiotic non-dysjunctionof sex chromosomes (40% during spermatogenesis and 60% during oogenesis). Mostly, non-dysjunctionoccur during lstmeiotic division.